In which of the following weapons, empty cartridge case is ejected after firing -
1. Shotgun
2. Revolver
3. Pistol
4. Rifle

Correct answer: 3. Pistol

Explanation: The synopsis of forensic medicine & toxicology ; Dr k.s narayan reddy ; 28th edition ; pg.no 124 In a pistol when a cartridge is fired the empty cartridge case is thrown out & a new cartridge slips into the breech by a spring .